All of the following are used in pneumatosis cytoides intestinalis EXCEPT
1. High flow oxygen
2. Albendazole
3. Metronidazol
4. Sulfasalazine

Correct answer: 2. Albendazole

Explanation: .PNEUMATOSIS CYSTOIDES INTESTINALIS -* It is transient, thin cysts containing nitrogen in submucosa and subserosa of ileum. * It is due to increased intraluminal pressure, which forces N2 through the layers of the bowel due to hyper-peristalsis. * It is associated with chronic duodenal ulcer, chronic pulmonary disease, bowel obstruction. Treatment * O2 support. * Metronidazole. * Cause is treated. ref:SRB's manual of surgery ,ed 3,pg no 806